Pneumothorax occurs in all except?
1. Langerhans cell histiocytosis
2. Marfan's syndrome
3. Assisted ventilation
4. Bronchopulmonary aspergillosis

Correct answer: 4. Bronchopulmonary aspergillosis

Explanation: Langerhans cell histiocytosis :- - is a smoking-related, diffuse lung disease- presenting with cough, dyspnea, chest pain, weight loss and fever. Pneumothorax occurs in 25% of patients Marfan's syndrome:- - due to a defect of fibrillin, pulmonary symptoms are not a major feature but spontaneous pneumothorax is common. In spontaneous unilateral pneumothorax, air escapes from a lung and occupies the pleural space between the chest wall and lung. Assisted ventilation :- - Positive pressure ventilation can excerbate air leaks and prevent pleural healing thus leading to pneumothorax